HLA Associated with Rheumatoid arthritis is?
1. HLAB27
2. HLA-DR4
3. HLA CW6
4. HLAB8

Correct answer: 2. HLA-DR4

Explanation: harshmohan textbook of pathology 7th edition. *RA has high association with HLA DR4 ,HLA DR1 and famalian aggregation.